Daily per capita water supply considered to meet the needs of all urban domestic purposes is
1. 50-100 litres
2. 100-150 litres
3. 150-200 litres
4. 200-250 litres

Correct answer: 3. 150-200 litres

Explanation: A daily supply of 150- 200 litres per capita is considered as an adequate supply to meet the needs for urban domestic purposes and 40 L for rural. (PARK TB of social and preventive medicine 25th edition pg 766)